Deposition of protein 'A b2 m ' is seen in which clinicopathologic category of amyloidosis-
1. Familial mediterranean fever
2. Hemodialysis associated
3. Senile cerebral
4. Systemic senile

Correct answer: 2. Hemodialysis associated

Explanation: Ans: BNote- A b 2m means = A b2 microglobulin